In amyloidosis of the tongue, the amyloid is deposited primarily in the:
1. Stromal connective tissue
2. Cells of the surface epithelium
3. Nuclei of the striated muscle cells
4. Cytoplasm of the striated muscle cells

Correct answer: 1. Stromal connective tissue